Not true about Fuch's corneal dystrophy -
1. Glaucoma is its common association
2. Endothelial dystrophy
3. Unilateral condition
4. Occurs in old age

Correct answer: 3. Unilateral condition

Explanation: Fuchs dystrophy is frequently seen as a slowly progressive bilateral condition affecting females more than males, usually between fifth and seventh decade of life. Primary open angle glaucoma is its common association.Reference:Comprehensive ophthalmology,AK Khurana,4th edition,page no.118